Amyloid is detected by staining with all except
1. Methyl violet
2. Alcain Blue
3. Congo Red
4. Thioflavin

Correct answer: 2. Alcain Blue

Explanation: (B) Alcain Blue # Amyloid fibrils are idenfied in biopsy or necropsy tissue sections> The systemic amyloidosis offer a choice of bipsy sites; abdominal fat aspirates or renal or rectal biopsies are often perform ed.> Microscopically, amyloid depsotis stain pink with the hematoxylin-eosin stain and show metachromasia with crystal violet. The widely used and useful Congo red stain imparts a unique green birefringence when stained tissue sections are viewed using the polarizing microsope.> Fluorescent dyes such as thioflavin are sensitive screening stains for amyloid deposits in brain and other tissues; however, specificity should be confirmed.